A patient diagnosed to have deep vein thrombosis is being treated with heparin. Which of the following test will you order to adjust its dosage ?
1. Platelet count
2. Prothrombin time
3. Bleeding time
4. Activated partial thromboplastin time

Correct answer: 4. Activated partial thromboplastin time

Explanation: Ans. is 'd' i.e., Activated partial thromboplastin time o Lab control of heprin is done by monitoring aPTT.